Which of the following statements about Prions is true:
1. They are infectious proteins
2. They are made up of bacteria and virus
3. They have rich nuclear material
4. They can be cultured in cell free media

Correct answer: 1. They are infectious proteins

Explanation: Answer is A (They are infectious proteins): Prions are infectious proteins devoid of any nucleic acid - Harrisons Prions and Prion associated diseases Prions are infectious proteins devoid of any nucleic acid (RNA or DNA)q (Prions are the only known infectious agents that are devoid of nucleic acide) Prion diseases result from the accumulation of the abnormal prion protein 'Pr Ps"2 Prions are most resistant to physical and chemical agents such as heat, irradiation and.formalinee. The diseases caused by Prions include diseases in human & animals Prion Diseases share several distinguishing hallmarks Hallmarks of Prion Diseases The disease is confined to the ,ervous systemQ (Although agent may be recoverable from other organs) The basic features are Neurodegeneration and SpongifOrmQ changes Amyloid plaques may be present Clinical illness is preceded by a long incubation periodQ (months to decades) Onset of clinical illness is followed by chronic progressive diseaseQ (weeks to years) The disease is always fatalQ with no known cases of remissionQ or recovery The host shows no inflammatory response and no immune responses - Agents do not appear to be antigenice - No production of interferon is elicited - There is no effect on host B cell or T cell function Immunosupression of the host has no effected on pathogenesis